Which of these cells is most radio-resistant?
1. Early precursor cells of erythroblastic series
2. Muscle cells
3. Fibroblasts
4. Vascular endothelial cells

Correct answer: 2. Muscle cells